Which of the following is not an adverse effect of amiodarone?
1. Hyperthyroidism
2. Corneal microdeposits
3. Pulmonary fibrosis
4. Nephrotoxicity

Correct answer: 4. Nephrotoxicity

Explanation: Adverse effects of Amiodarone: The Thyroid (both hypo and hyperthyroidism) Periphery of Peripheral neuropathy My Myocardial depression Lung Lung fibrosis Liver and Liver Toxicity Cornea is Corneal microdeposits Photosensitive Photosensitivity